Fertilization is complete when -
1. 1st Polar body is formed
2. 2nd Polar body is formed
3. Primary oocyte is formed
4. Secondary oocyte is formed

Correct answer: 2. 2nd Polar body is formed

Explanation: Ans. is 'b' i.e., 2nd Polar body is formed "As soon as a spermatozoon enters the ovum, the lather finishes its second meiotic division and the second polar body is formed" - I.B. Singh